Dengue fever is transmitted by
1. Aedes aegypti
2. Cluex vishnuii
3. Cluex fatigans
4. Glossina palpalis

Correct answer: 1. Aedes aegypti